"Mad cow" disease is caused by?
1. HIV virus
2. Mycoplasma
3. Chlamydia
4. Prions

Correct answer: 4. Prions

Explanation: Several animal diseases from this group are also known, including scrapie in sheep and goats and bovine spongiform encephalopathy in cattle ("mad cow" disease).All these disorders are associated with abnormal forms of a normal cellular protein, termed prion protein (PrPc).